Fluoride to be present in water (mg/1,) to prevent caries -
1. 2
2. 0.4
3. 0.3
4. 0.5

Correct answer: 4. 0.5

Explanation: Ans. is 'd' i.e., 0.5 o The recommended level of fluorides in drinking water to prevent caries is 0.5-0.8 mg/L. o But maximum permissible limit is 15 ing/L.